All of the following murmurs may be heard in patients with aortic regurgitation except :
1. High-pitched decrescendo diastolic murmur.
2. Soft, low pitched mid distolic rumbling murmur
3. Mid-systolic ejection flow murmur
4. Pansystolic murmur.

Correct answer: 4. Pansystolic murmur.

Explanation: Answer is D (Pansystolic murmur)